Which isotope is used for treating bone cancer?
1. Sr
2. Ga
3. 1123
4. Tc

Correct answer: 1. Sr

Explanation: ANSWER: (A) SrREF: Perez and Brady's Principles and Practice of Radiation Oncology 5th ed Page 1997See APPENDIX-67 below for "ISOTOPES USED IN RADIOTHERAPY"A medical isotope of strontium is Sr-89, which is used for pain relief in certain bone cancers. Strontium 89 is a pure b emitter with half life of 50.6 daysStrontium-90 is used medically as the radioactive source in arterial stents (in patients with blocked arteries) to help maintain blood flow.Strontium-90 is also the primary source of its decay daughter-product yttrium-90, which has many applications as a radiopharmaceutical in cancer treatment.The first radiopharmaceutical used for treatment of bone metastases was phosphorous-32 (subjective pain relief but with unacceptable bone marrow toxicity)Technetium-9 9m is used in bone scans to detect and locate bone cancer APPENDIX - 67Isotopes Used in RadiotherapyIsotopeHalf LifeUsesTechnetium 996 hoursBone scanCobalt 60 (Artificial)5.27 yearsTeletherapy & BrachytherapyIodine 12313 hoursRadioactive iodine uptakeIodine 12560 daysBrachytherapy (P)Iodine 1318 daysRadiotherapyIodine 1322.3 hours (min) Radium1622 years (max)Not used now a daysAu 198 (gold)2.7 daysBrachytherapy (P)Pd 103 (palladium)17 daysBrachytherapy (P)Cesium 1319.7 daysBrachytherapy (P)Cesium 13730 yearsTeletherapy 81 Brachytherapy (T)Iridium 192 (Artificial)74 daysBrachytherapy (T)Strontium 9029 yearsBrachytherapy (T)Radon 2223.8 daysBrachytherapy (T)Brachytherapy can be of two types, permanent implant (P) or temporary implant (T)